Joint not involved in Rheumatoid arthritis according to 1987 ACR CLASSIFICATION CRITERIA ?
1. Knee
2. Ankle
3. Tarsometatarsal
4. Metatarsophalangeal

Correct answer: 3. Tarsometatarsal

Explanation: ref : maheswari 9th ed